Increased amount of powder in zinc phosphate cement mixture will cause
1. Decreased strength
2. Decreased film thickness
3. Decreased solubility
4. Increased setting time

Correct answer: 3. Decreased solubility